High stepping gait is seen in -
1. CTEV
2. Common peroneal nerve palsy
3. Polio
4. Cerebral palsy

Correct answer: 2. Common peroneal nerve palsy

Explanation: Ans. is 'b' i.e., Common peroneal nerve palsyGaitPatternCauseAntalgic or painful gaitTime taken on the affected leg is reducedBody weight is shifted quickly to the normal leg.Painful condition of the legStiff hip gaitLifts the pelvis, and swings it forward with leg in one pieceTB hip, Rheumatoid hip, Ankylosing. SpondylitisStiff knee gaitThe leg is circumducted and brought forward in order to get clearance.TB knee, Painful stiff kneeShort limb gaitBecomes apparent only if the limb is shorter than 2 inches. The body on the affected side moves up and down eveiy time the weight is borne on the affected leg.Congenital short femur,Shortening secondary' to fractureTrendelenburg gait or Gluteus medius gaitThe body swings to the affected side every time weight is brone on the sideDislocated hip, CDHCongential coxa varaFracture neck of femurGluteus medius paralysisGluteus maximus lurchThe body swings backwards every time weight is borneGluteus maximus paralysis in polioQuadriceps lurchThe person walks by hyperextending,and thereby locking the kneeQuadriceps paralysisHand- knee gaitThe person walks with hand on the knee to prevent the knee from buckling in a quadriceps deficient knee with flexion deformity.PolioHigh stepping gait or Foot drop gaitDue to drop of the foot, the leg is lifted more in order to get clearance.First to touch the ground is the forefoot, and not the heel.Common peroneal nerve palsy, Sciatic nerve palsyScissor gaitLegs are crossed in front of each other while walking due to spasm of the adductors of the hipCerebral Palsy